Most common tumour in hand
1. Exostosis
2. Giant cell tumour
3. Enchondroma
4. Synovial sarcoma

Correct answer: 3. Enchondroma

Explanation: Ans. is 'c' i.e. Enchondroma